An appendicular fistula is least likely to heal if ?
1. The stump was sutured with vicryl
2. There is stenosis/narrowing of the sigmoid colon
3. Superadded infection
4. None

Correct answer: 2. There is stenosis/narrowing of the sigmoid colon

Explanation: Ans. is 'b' i.e., There is stenosis/narrowing of the sigmoid colon